Characterstic feature of compact bones is
1. Volksmann canal
2. Haversian system
3. Lamellar arrangement
4. Trabeculae

Correct answer: 2. Haversian system

Explanation: When we examine a section of compact bone we can see concentric lamellae pervaded by lacunae called haversian system Inderbir Singh's textbook of human Histology Seventh edition Pg no94